Generalized paresis of Insane is seen in-
1. Primary stage
2. Secondary stage
3. Neuro syphilis
4. Congenital syphilis

Correct answer: 3. Neuro syphilis

Explanation: The major clinical categories of symptomatic neurosyphilis include meningeal, meningovascular, and parenchymatous syphilis. The last category includes general paresisand tabes dorsalis. The onset of symptoms usually occurs <1 year after infection for meningeal syphilis, up to 10 years after infection for meningovascular syphilis, at ~20 years for general paresis, and at 25-30 years for tabes dorsalis. (Harrison's Principles of internal medicine, 20 th edition, page 1389)